Compared to the other antidepressant drugs mirtazapin has the distinct ability to act as an antagonist of:
1. Beta receptors
2. D2 receptors
3. Alpha 2 receptors
4. 5-HT receptors

Correct answer: 3. Alpha 2 receptors

Explanation: Ref: KDT 8th ed Mirtazapine blocks presynaptic [?]2 receptors on NA and 5-HT neurons. This increases the release of both NA and 5-HT. It also inhibits 5-HT2 and 5-HT3 receptors.